Site of TB bursitis -a) Prepatellarb) Subacromialc) Subdeltoidd) Subpatellare) Trocanteric
1. abce
2. abcd
3. acde
4. abde

Correct answer: 1. abce

Explanation: Bursae particularly apt to become tuberculous are those about the hip, i.e. tronchontric bursa; the subdeltoid; the olecranon, the prepatellar; the retrocalcaneal; and the gluteal bursa.

Note:

Subacromial bursa is also called as subdeltoid bursa.